Doxapram is_______________drug-
1. Respiratory stimulant
2. Antiepileptic
3. Sedative
4. Antidiabetic

Correct answer: 1. Respiratory stimulant

Explanation: Ans. is 'a' i.e., Respiratory stimulant Doxapram o A respiratory stimulant (analeptic). o It acts by promoting excitation of central neurons. o At low doses it is more selective for respiratory centre than other analeptics. o Respiration is also stimulated by aortic and carotid body chemoreceptors. Also know o Modafinil - It is a recently introduced psychostimulant used in norcolepsy, sleep apnoea syndrome and shift-work sleep disorder.